Following are the features of inhibin except :
1. Non steroidal water soluble protein
2. Secreted by Graafian follicle
3. Stimulates FSH secretion
4. Increased secretion of inhibin occurs in polycystic ovarian disease

Correct answer: 3. Stimulates FSH secretion

Explanation: Inhibin The major forms of inhibin: Inhibin-A and Inhibin-B FSH stimulates the secretion of inhibin B from granulosa cells and is suppressed by inhibin -- a reciprocal relationship With the appearance of LH receptors on the granulosa cells of the dominant follicle and the subsequent development into corpus luteum, inhibin expression comes under the control of LH changes from inhibin-B to inhibin-A Reference: Clinical Endocrinologic Gynecology and Infertility; Eighth Edition, Chapter 6